Case of hemorrhagic disease of newborn bleed on 2nd day?
1. 2, 7, 9, 10
2. 3, 7, 9, 10
3. 2, 8, 9, 10
4. 2, 5, 9, 10

Correct answer: 1. 2, 7, 9, 10

Explanation: Ans. is 'a' i.e., 2, 7, 9, 10